Rat bite fever may be caused by -
1. Leptospira canicola
2. Streptobacillus moniliformis
3. Borrelia recurrentis
4. Yersinia

Correct answer: 2. Streptobacillus moniliformis

Explanation: Ans.is 'b' i.e., Streptobacillus moniliformis Rat bite fever* Rat bite fever (RBF) is characterized by relapsing fever, rash, and arthralgia occuring after a rat bite.* Two different bacteria can cause the condition1. Streptobacillus moniliforms2. Spirillum minus